In Kidney which of the following is true?
1. Osmolarity of tubular fluid in PCT gradually increases
2. Osmolarity of fluid in DCT is more than in Bowmann's capsule
3. Fluid coming out of descending limb of loop of Henle is hypotonic
4. Osmolarity of medullary interstitium is more than plasma

Correct answer: 4. Osmolarity of medullary interstitium is more than plasma

Explanation: Ans. is'd'i.e., Osmolarity of medullary interstitium is more than plasma(Ref: Guyton 12/e p. 334)The renal medulla shows an increasing osmotic pressure with increasing depth.Starting, with an osmolarity of 300 mOsm/L in the cortex, the osmolarity reaches a level of 1200-1400 mosm/L at the pelvic tip of the medulla, i.e., The inner part of medulla has highest osmotic gradient.That means that the renal medullary interstitium has accumulated solute in greater excess of water.